Treatment of lepra 1reaction is
1. Thalidomide
2. Increase in Dapsone dose
3. Clofazamine
4. Corticosteroids

Correct answer: 4. Corticosteroids

Explanation: Corticosteroids are the drug of choice for the treatment of moderate to severe type 1 reaction. iadvl textbook of dermatology page 2082